A 55 years old female presented with breast mass of size 3 cm with ulceration, edema and satellite nodules confined to the same breast with metastasis to ipsilateral axillary lymph node I & II and is mobile on examination. The staging of the breast cancer is:
1. Stage II B
2. Stage III A
3. Stage III B
4. Stage IV

Correct answer: 3. Stage III B

Explanation: Stage Size of tumor T1 up to 2 cm T2 >2-5cm T3 >5cm T4a Extension to chest wall (chest wall is formed by Ribs, Intercostal muscles, Serratus Anterior) T4b Ulceration edema including Peau-D-Orange Satellite nodules These changes are confined to same breast. T4c T4a + T4b T4d Inflammatory breast cancer Not included in T4 Involvement of dermis alone Nipple retraction/ deviation Involvement of Pectoralis major/ Pectoralis minor Lymph node (N) Staging N1 Metastasis to ipsilateral axillary lymph node level I and II Mobile N2a Metastasis to ipsilateral axillary LN I and II Fixed / matted lymph nodes N2b Clinically apparent internal / mammary nodes (detected on clinical examination /grossly visible pathologically/detected on radiological examination except lymphoscintigraphy) N3a Metastasis to ipsilateral infraclavicular LN N3b Metastasis to ipsilateral axillary + internal mammary LN N3c Metastasis to ipsilateral supraclavicular LN Metastasis M0 (r) No metastasis M1 (r) Distant Metastasis Stage I T1 Stage IIA TO-1 N1 T2 Stage IIB T2 N 1 T3 Stage IIIA To-2 N2 T3 N1-2 Stage IIIB T4 N0-2 Stage IIIc T any N3 Stage IV T any N any M1